HbH is associated with:
1. Deletion of 3 alpha genes
2. Deletion of 4 alpha genes
3. Deletion of 3 beta genes
4. Deletion of 4 beta genes

Correct answer: 1. Deletion of 3 alpha genes

Explanation: HbH Disease is associated with deletion of 3 out of 4 alpha globin genes. Ref: Robbins pathologic basis of disease 6th edn/page 619.